Nalidixic acid is used in:
1. UTI
2. Bacillary dysentry
3. Enteric fever
4. Malaria

Correct answer: 1. UTI